What is this teeth abnormality seen in congenital syphilis known as?
1. Mc Leod teeth
2. Hutchinson's teeth
3. Koplik teeth
4. Snuffles

Correct answer: 2. Hutchinson's teeth

Explanation: b. Hutchinson's teethSmaller & more widely spaced teeth with notches on their biting surfaces are 'Hutchinson's teeth' seen in Congenital Syphilis